The bifurcation of trachea occurs most commonly at-
1. T3
2. T5
3. T7
4. T9

Correct answer: 2. T5

Explanation: Ans. is 'b' i.e., T5 'The level of bifurcation of the trachea varies from the lower third of the fourth to the middle of the seventh thoracic vertebrae. The average position is at the level of the lower third of the fifth thoracic vertebra.'